Which is not antiemetic?
1. Domperidone
2. Phenazocine
3. Cyclizine
4. Ondansetron

Correct answer: 2. Phenazocine